A patient is experiencing respiratory acidosis due to brain trauma. Which of the following lab values correlates with this acid imbalance?
1. Potassium level of 6.0
2. Potassium level of 2.5
3. Potassium level of 5.0
4. Potassium level of 3.5

Correct answer: 1. Potassium level of 6.0

Explanation: Respiratory alkalosis - intracellular shift Na+ K+ PO4 2- inside Respiratory acidosis - shift of Na+ K+ PO4 2- outside Therefore K+ | ans. is (A)